The following statement is TRUE for Pityriasis Rosea:
1. Self limiting
2. Chronic relapsing
3. Life threatening infection
4. Caused by dermatophytes

Correct answer: 1. Self limiting

Explanation: Pityriasis rosea is an acute exanthematous papulosquamous eruption often with a characteristic self limiting course. The etiology is not known (It is not caused by dermatophytes). It is present during the spring and fall. Ref: Harrison's Principles of Internal Medicine 16thEdition Page 292; Roxburgh's-Common Skin disease 17th Edition Page 17; Fitzpatrick's Dermatology 5th Edition Page 7369; Illustrated Textbook of Dermatology: Pasricha 3rd Edition Page 7134; Illustrated Synopsis of Dermatology & STDs, Neena Khanna 1st Edition Page 742-44